A pregnant woman with the recent onset of urinary frequency, urgency and dysuria, and evidence of bacteriuria should be treated with:
1. Ciprofloxacin
2. Norfloxacin
3. Trimethoprim-sulfamethoxazole
4. Cephalexin

Correct answer: 4. Cephalexin

Explanation: Tetracyclines may cause staining of fetal teeth when given during pregnancy. Trimethoprim sulfamethoxazole may cause neonatal jaundice when administered late in pregnancy because sulfonamides may displace bilirubin from plasma proteins. Fluoroquinolones, such as ciprofloxacin and norfloxacin, are best avoided in pregnancy because of their potential to cause arthropathy in the fetus caused by damage to cartilage. The 13-lactam antibiotics, including penicillin's such as ampicillin and various oral cephalosporin's, may be safely administered to pregnant women. First- or second-generation cephalosporins are usually preferred because of their antimicrobial spectrum.